Effect of PIH on GFR is:
1. GFR Increase
2. Decreases GFR
3. GFR remains the same
4. GFR can increase or decrease

Correct answer: 2. Decreases GFR

Explanation: The changes are conspicous in the glomerulus which becomes enlarged.(Glomerular Endotheliosis) Endothelial cells swell up and fibrin like deposits occur in the basement membrane. Lumen may be occluded. Interstitial cells between the capillaries proliferate. There is associated spasm of the afferent glomerular arterioles. Patchy areas of damage of the tubular epithelium due to anoxia are evident. Net effects are reduced Renal blood flow and glomerular filtration rate(25%) and impare tubular reabsorption or secretory function. Reference: Textbook of Duttas,9th edition, page 209.